Disinfection of water is not requihred if the source is from-
1. Tube well
2. Step well
3. Draw well
4. River

Correct answer: 1. Tube well

Explanation: Park's textbook of preventive and social medicine 23rd edition. *Tube wells are usually machine dug and may be several hundred metres deep. Deep wells furnish the safest water and are often the most satisfactory sources of water supply